Dimorphic fungus:
1. Candida
2. Histoplasma
3. Rhizopus
4. Mucor

Correct answer: 2. Histoplasma

Explanation: Ans. b. Histoplasma